Lactose intolerance is due to ?
1. Deficiency of Galactokinase
2. Deficiency of Uridyl transferase
3. Deficiency of Lactase
4. Deficiency of Enteropeptidase

Correct answer: 3. Deficiency of Lactase

Explanation: Ans. is 'c' i.e., Deficiency of Lactase Lactose intoleranceIt occurs due to deficiency of lactase, the most important member of b-galactosidase enzymatic class.Lactase hydrolyses lactose into glucose and galactose in the small intestine.Lactose is present in milk.Therefore, deficiency of lactase, (b-galactosidase) results in intolerance to milk and other dairy products.Clinical features are bloating, diarrhea, failure to thrive, abdominal distension and abdominal cramp.